Cystinuria is associated with excretion of which amino acid in urine
1. Cystine, lysine, Tyrosine and alanine
2. Cystine, lysine, ornithine and alanine
3. Cystine, ornithine, lysine and arginine
4. Cystine, ornithine, leucine and arginine

Correct answer: 3. Cystine, ornithine, lysine and arginine